Lithium is used in a pregnant woman. Which of the following congenital anomaly occurs in the fetus?
1. Tetralogy of Fallot
2. Bicuspid atresia
3. Ebstein's anomaly
4. Pulmonary stenosis

Correct answer: 3. Ebstein's anomaly